True regarding adenomyosis is
1. Most common in nulliparous women
2. Progestin are agents of choice for medical management
3. More common in young women
4. Presents with menorrhagia, dysmenorrhea, and an enlarged uterus

Correct answer: 4. Presents with menorrhagia, dysmenorrhea, and an enlarged uterus

Explanation: The patients are usually porous and in their forties
Symptoms: Menorrhagia or Menometrorrhagia and Congestive dysmenorrhoea
Relief of secondary dysmennorhoea can be tried with NSAIDs or OCPs
Other options are GnRH agonists or LNG -IUS.
Medical treatment is not very effective.